Thyroid peroxidase is not involved in
1. Oxidizes iodide to atomic iodine
2. Frequent epitope of autoantibodiesent epitope
3. Secretion of thyroglobulin into the colloid
4. Liberates iodine for addition on to thyrosine resideues on thyroglobulin

Correct answer: 3. Secretion of thyroglobulin into the colloid

Explanation: Inorganic iodine enters the body primarily as iodide, I-. After entering the thyroid follicle (or thyroid follicular cell) a Na+/I-sympoer (NIS) on the basolateral side, iodide is shuttled across the apical membrane into the colloid pendrin, after which thyroid peroxidase oxidizes iodide to atomic iodine (I) or iodinium (I+).The "organification of iodine," the incorporation of iodine into thyroglobulin for the production of thyroid hormone, is nonspecific; that is, there is no TPO-bound intermediate, but iodination occurs reactive iodine species released from TPO.The chemical reactions catalyzed by thyroid peroxidase occur on the outer apical membrane surface and are mediated by hydrogen peroxide.Ref: DM Vasudevan, 7th edition, page no: 673